FEV2/VC:
1. 80-85%
2. 95%
3. 97%
4. 100%

Correct answer: 2. 95%

Explanation: FEV2:volume expired forcefully by the end of 2th second It is 95%of total vital capacity. Ref: G K Pal textbook of Practical physiology 4th edition ,page number: 159